Not true regarding epidemic keratoconjunctivitis
1. Enterovirus
2. Superficial punctate keratitis
3. Pseudomembrane formation
4. Subepithelial infiltrates

Correct answer: 1. Enterovirus

Explanation: Epidemic keratoconjunctivitis is caused by adenovirus and not enterovirus Adenoviral conjunctivitis * Epidemic keratoconjunctivitis * Pharyngoconjunctival fever * Follicular conjunctivitis * Relapsing adenoviral conjunctivitis Epidemic keratoconjunctivitis * Type 8, 9 & 17 37 strain * Hyperemia, chemosis, follicles, petechial ,hemorrhages,subconjunctival membrane * Superficial punctate keratitis * Pseudomembrane formation * Subepithelial infiltrates * Pre-auricular lymphadenopathy Rx: Cold compression, contagious, lubricants, steroids only in subepithelial infiltrates Pharyngoconjunctival fever * Conjunctivitis Pharyngitis lymphadenopathy * With subtypes 3, 4, 7, 11 * Acute follicular conjunctivitis with pharyngitis and pre auricular lymphadenopathy